28 year old woman has been treated with several autonomic drugs for about a month. Which of the following signd would distinguish between an overdose of a muscarinic blocker and a ganglionic blockers
1. Blurred vision
2. Dry mouth, constipation
3. Mydriasis
4. Postural hypotension

Correct answer: 4. Postural hypotension

Explanation: Ref-KDT 6/e p115 Postural hypotension is due to blockade of sympathetic system. Ganglion blockers in heavy they transmission through both sympathetic as well as parasympathetic ganglia where as muscarinic brokers inhibitat only parasympathetic activity